Not true about chi-square test is ?
1. Tests the significance of difference between two proportions
2. Tells about presence or absence of an association between two variables
3. Directly measures the strength of association
4. Can be used when more than two groups are two be compared

Correct answer: 3. Directly measures the strength of association

Explanation: Ans is 'c' i.e., Directly measures the strength of association Advantages of chi-square test o It can be applied to find the association or relationship between two discrete attributes when there are more than two class or groups as happens in multinominal samples. o It can also measure the significance of difference between two proportion. o Chi square goodness offit" (one sample test) --> this allows us to compare a collection of categorical data with some theoretical expected distributions. This test is used in genetics to compare the results of a cross with the theoretical distribution based on genetic theory. Disadvantage o Chi - square test tells about the presence or absence of association, but it does not measure the strength of association.